Per capita space for students is a class room should not be less than sq. feet -
1. 5
2. 10
3. 20
4. 50

Correct answer: 2. 10

Explanation: Ans. is 'b' i.e., 10 Per capita space for students in a classroom should not be less than 10 sq. ft.